Ketone bodies not utilised by
1. Brain
2. RBC
3. Heart
4. Skeletal muscle

Correct answer: 2. RBC

Explanation: Partial oxidation of fatty acids in the liver leads to ketone body production. Ketone bodies are exported to extrahepatic tissues, where they act as a fuel in prolonged fasting and starvation.